Which of the following contrast agents can be used in a patient with renal dysfunction for the prevention of contrast nephropathy?
1. Low osmolar contrast
2. Ionic contrast
3. Fenoldopam
4. Acetylcysteine

Correct answer: 1. Low osmolar contrast

Explanation: Non ionic low osmolar contrast agents are preferred in patients with decreased renal function to prevent contrast nephropathy Ionic contrast media have a higher risk for contrast nephropathy, and hence should be avoided The amount of contrast media used should be limited The patient should be well hydrated before the procedure Supplementary interventions include use of N-acetylcysteine, fenoldopam, theophylline, prostaglandins and magnesium